Which of the following is a lentivirus
1. HIV
2. HBV
3. HCV
4. Rabies virus

Correct answer: 1. HIV

Explanation: Ans. is 'a' i.e., HIV The etiologic agent of AIDS is HIV, which belongs to the family of human retroviruses (Retroviridae) and the subfamily of lentiviruses.HIV is also known as Human T cell lymphotrophic virus HI (HTLV-III) or Lymphadenopathy associated virus (LAV).